Which of the following has a Ketogenic effect on liver?
1. Insulin
2. Glucagon
3. GH
4. Androgen

Correct answer: 2. Glucagon

Explanation: Physiological Actions of GlucagonGlucagon is the most potent hyperglycemic hormone. It is anti-insulin in nature. Therefore, the net effect is decided by the insulin-glucagon ratio (Fig.24.8).Glucagon is mainly glycogenolytic. The active form of glycogen phosphorylase has formed under the influence of glucagon. Liver is the primary target for the glycogenolytic effect of glucagon.It depresses glycogen synthesis.Gluconeogenesis is favored by glucagon by inducing enzymes like PEPCK, glucose-6-phosphatase, and fructose-1,6-bisphosphatase.Glucagon increases plasma free fatty acid level. In adipose tissue glucagon favors beta-oxidation, as it activates carnitine acyltransferase. The mitochondrial acetyl CoA level increasesKetogenesis is favored.Ref: DM Vasudevan - Textbook of Biochemistry, 6th edition, page no: 284-285